Serum inhibin B is secreted by ovarian granulosa cells starting at:-
1. Primordial follicle stage
2. Preantral follicle stage
3. Early antral stage
4. Pre ovulatory stage

Correct answer: 2. Preantral follicle stage

Explanation: Serum inhibin B is secreted by ovarian granulosa cells starting at the preantral follicle stage and therefore reflects the size of the growing follicular cohort . Reduced inhibin B levels are seen with aging even in normal fertile women . Inhibin B alone has poor predictive value for ovarian response but improves the predictive value when added to the CCCT (chlomiphene citrate challenge test)